Which of the following typically causes a macrocytic anemia?
1. blind loop syndrome
2. iron deficiency
3. thalassemia
4. chronic inflammation

Correct answer: 1. blind loop syndrome

Explanation: Blind loop syndrome leads to megaloblastic anemia and macrocytosis because of B12 deficiency. The deficiency is caused by colonization with bacteria that takes up ingested cobalamin before it can be absorbed. The other conditions generally cause microcytic or normocytic anemias.